Which of the following instrument is NOT used in intracapsular extraction of lens –
1. Cryo
2. Elschnig forceps
3. Phaco–emulsifier
4. Von–graefe's cataract knife

Correct answer: 3. Phaco–emulsifier

Explanation: Question is straight forward as you all know that phacoemulsification is used for ECCE (not for ICCE).